A hypertensive pregnant woman at 34 weeks comes with history of pain in abdomen, bleeding per vaginum and loss of fetal movements. On examination the uterus is contracted with increased uterine tone. Fetal heart sounds are absent. The most likely diagnosis is :
1. Placenta previa
2. Hydramnios
3. Premature labour
4. Abruptio placenta

Correct answer: 4. Abruptio placenta

Explanation: Ans. is d i.e. Abruptio placenta